Infant with cystic fibrosis (CF) are likely to develop
1. Meconium ileus
2. Loose motions
3. Vomiting
4. Constpation

Correct answer: 1. Meconium ileus

Explanation: The common clinical presentations include meconium ileus in neonatal period,recurrent bronchiolitis in infancy and early childhod,recurrent respiratory tract infections ,chronic lung disease , bronchiectasis, steatorrhoea,with incresing age pancreatitis and azoospermia. Ref : Essential pediatrics,O.P.Ghai,7 th edition ,pg no:36